Best management for inhaled Foreign body in an infant -
1. Tracheostomy
2. Steroids
3. Bronchoscopy
4. IPPV

Correct answer: 3. Bronchoscopy

Explanation: The peak incidence of inhaled foreign bodies is between the ages of one and three years with a male to female ratio of 2:1.
Only 12% of the inhaled bodies impact in the larynx while most pass through the cords into the tracheobronchial tree.
In contrast to adults, where objects tend to lodge in the distal bronchi or right main bronchus, in children they tend to lie more centrally within the trachea (53%) or just distal to the carina (47%).
The treatment of choice for airway foreign bodies is prompt endoscopic removal with a Bronchoscope.
“In children – The choice of either using a rigid or flexible endoscope remains controversial. Otolaryngologists traditionally believe rigid endoscopes to be the optimal instrument for tracheobronchial foreign bodies. However, there are certain objects that may be more suitably removed with flexible fiberoptic instruments or a combination of rigid and flexible techniques.”

“The treatment of choice for airway foreign bodies is endoscopic removal with a rigid instrument”.